Saturated fatty acids is maximum in which of the following:
1. Sunflower oil
2. Coconut oil
3. Soyabean
4. Safflower oil

Correct answer: 2. Coconut oil

Explanation: Saturated fatty acids are a long-chain carboxylic acid that usually has between 12 and 24 carbon atoms that has no double bonds.Thus, saturated fatty acids are saturated with hydrogen (since double bonds reduce the number of hydrogens on each carbon).example; 1) Lauric acid (12 C) 2) Myristic acid (14 C) 3) Palmitic acid (16 C) 4) Stearic acid ( 18 C) 5) Arachidic acid (20 C)Coconut oil contains approximately 92.1% saturated fatty acids, 6.2% monounsaturated fatty acids, 1.6% polyunsaturated fatty acids.